Which of the following phase is small and equiaxed:
1. Gamma1 phase.
2. Gamma 2 phase.
3. Residual phase.
4. All of the above.

Correct answer: 1. Gamma1 phase.